Spalding sign is seen in ?
1. Drowning
2. Mummification
3. Maceration
4. Starvation

Correct answer: 3. Maceration

Explanation: Ans. is 'c' i.e., Maceration Dead born : A deadborn child is one which has died in utero and shows one of the following signs after it is completely born :? 1) Rigor mortis : Rigor mortis may occur in dead fetus before birth or at birth. 2) Maceration : Maceration is a process of aseptic autolysis. It occurs when a dead fetus remains in the uterus for 3-4 days surrounded by liquor amnii but with exclusion of air. Skin slippage is the earliest sign (occurs within 12 hours). There is gas in the great vessels and chambers of heart (Robert's sign). Except for lung and uterus, which remain unchanged for a long time, all other organs become soft, oedematous and loose there morphology. The one important radiological sign suggestive of maceration is 'Spaulding's sign' i.e. skull bones override each other. The smell is somewhat rancid. 3) Putrefaction (decomposition) : If the membranes are ruptured after death of fetus and air gains entry into liquor amnii, fetus undergoes putrefaction instead of maceration. Body is greenish, foul smelling and bloated. 4) Mummification : It results when there is deficient blood supply, scanty liquor and no air enters uterus. Body is thin, shrivelled dark brown and emitting smell like rotten cheese.